Characteristic of Bacillus cereus food poisoning is
1. Presence of fever
2. Presence of pain in abdomen
3. Absence of vomiting
4. Absence of diarrhoea

Correct answer: 2. Presence of pain in abdomen

Explanation: Bacillus cereus is an important cause of food poisoning. Two patterns: diarrheal and emetic. Diarrheal: associated with cooked meat and vegetables. Diarrhea and abdominal pain 8-16 hours after the ingestion of contaminated food. Vomiting rarely. Bacilli are not found in the fecal specimen of these patients. Emetic: associated with consumption of cooked rice, usually fried rice from restaurants. Nausea and vomiting 1-5 hours after the meal. Bacilli present in large numbers in cooked rice and fecal samples from these patients. Reference: Textbook of Microbiology; Anathanarayan and paniker's; 10th edition; Page no: 253